which of the following is a scoring system for severity of wound infection, and is particularly useful for surveillance and research:
1. APGAR score
2. Glasgow scoring system
3. Southamptom grading system
4. ASA classification

Correct answer: 3. Southamptom grading system

Explanation: Ans is c. Southamptom grading system